All of the following are branches from the CORDS of brachial plexus EXCEPT:
1. Suprascapular nerve
2. Upper subscapular nerve
3. Lower subscapular nerve
4. Lateral pectoral nerve

Correct answer: 1. Suprascapular nerve

Explanation: Suprascapular nerve